Which of the following is NOT a component of reduced osmolarity ORS?
1. Citrate
2. Potassium
3. Glucose
4. Zinc

Correct answer: 4. Zinc

Explanation: Composition of reduced osmolarity ORS: Components Amount in mmol/ litre Sodium 75 Chloride 65 Glucose, anhydrous 75 Potassium 20 Citrate 10 Total osmolarity 245 Ref: Park 21st edition, page 202.